Which is non-sense codon -
1. UGG
2. AUG
3. UGA
4. CCA

Correct answer: 3. UGA

Explanation: Ans. is 'c' i.e., UGA Stop codons or nonsense codons or termination codonso Three of the 64 possible nucleotide triplets UAA (amber), UAG (Ochre) and UGA (opal) do not code for any amino acid.o They are called nonsense codons that normally signal termination of polypeptide chains.o Thus, though there are 64 possible triplet codons, only 61 codes for 20 amino acids (as remaining three are non-sense codons).